Thyroid storm after total thyroidectomy is due to?
1. Damage of RLN
2. Rough handling during surgery
3. Removal of parathyroid
4. Inadequate preoperative preparation

Correct answer: 4. Inadequate preoperative preparation

Explanation: Management: b blockers- |T4, |T3 conversion, | Hyperthyroid symptoms O2 + Hemodynamic support Non- Aspirin Anti - Pyretics - | fever I.V Lugol's Iodine - | I2 uptake Propylthiouracil (PTU) - | T4 to T3 conversion. decreased production of thyroid hormone. Corticosteroids.